Oldest cells of Lens are in
1. Nucleo - cortical junction
2. Nucleus
3. Anterior surface of lens
4. Posterior surface of lens

Correct answer: 2. Nucleus

Explanation: Lens contains oldest cells in its Nucleus.